Which of the following is a homopolysaccharide
1. Heparin
2. Chitin
3. Chondroitin sulphate
4. Hyaluronic acid

Correct answer: 2. Chitin

Explanation: Polysaccharides are polymerized products of many monosaccharide units. oHomoglycans are composed of single kind of monosaccharides, e.g. starch, glycogen and cellulose.oHeteroglycans are composed of two or more different monosaccharides, e.g. hyaluronic acid, chondroitin sulfate.PolysaccharidesRepeating unitsHomoglycansInulin D-fructose, beta 1,2 linkages Dextran Glucose, 1-6, 1-4, 1-3 linkages Chitin N-acetyl glucosamine, beta 1-4 linkagesHeteroglycansAgar Galactose, Glucose Agarose Galactose, Anhydrogalactose Hyaluronic acid N-acetyl glucosamine, Glucuronic acid Heparin Sulphated glucosamine, L-iduronic acid Chondroitin sulphate Glucuronic acid, N-acetyl galactosamine Keratin sulphate Galactose, N-acetyl glucosamine Dermatan sulphate L-iduronic acid, N-acetyl galactosamine DM Vasudevan , Textbook of Biochemistry for Medical Students , 7th ed, page 81